Failure of migration of neural crest cells is seen in:
1. Albinism
2. Congenital megacolon
3. Odontomes
4. Adrenal tumour

Correct answer: 2. Congenital megacolon

Explanation: Ans: b (Congenital megacolon)Ref: Bailey & Love, 24th ed, p.l 153 & 23rd ed, p. 1027